In which of the following, orbital metastasis is common –
1. Hypernephroma
2. Hepatoma
3. Neuroblastoma
4. Melanoma

Correct answer: 3. Neuroblastoma

Explanation: Most common metastasis to eye in adult → Breast and lung carcinoma.
     Most common metastasis to eye in children → Neuroblastoma.